Jumping genes are known as:
1. Intron
2. Transposons
3. Plasmids
4. Exon

Correct answer: 2. Transposons

Explanation: Transposons are also known as jumping genes Jumping genes/Transposons DNA sequences that can move from one chromosome locus to another